Waterhouse -Friderichsen syndrome is caused by which of the following organisms?
1. Streptococcus Pyogenes
2. Neisseria Meningitidis
3. Clostridium Perfringens
4. Staphylococcus Aureus

Correct answer: 2. Neisseria Meningitidis

Explanation: Also called as fulminant meningococcemia. It is a fatal condition characterised with shock, DIC, multisystem failure. Ref: Ananthanarayan and Panicker's, 8th Edition, Page 225